Mallory bodies are seen in all of the following except:
1. Hepatocellular carcinoma
2. Non-alcoholic hepatitis
3. Secondary biliary cirrhosis
4. Alcoholic hepatitis

Correct answer: 3. Secondary biliary cirrhosis

Explanation: Ans. C: Secondary biliary cirrhosis Mallory body/alcoholic hyaline/Mallory-Denk body/Mallory's hyaline is an inclusion found in the cytoplasm of liver cells. They are classically found in the livers of people suffering from alcoholic liver disease and were once thought to be specific for that. They are most common in alcoholic hepatitis (prevalence of 65%) and alcoholic cirrhosis (prevalence of 51%). They are a recognized feature of Wilson's disease (25%), primary biliary cirrhosis (24%), non-alcoholic cirrhosis (24%), hepatocellular carcinoma (23%) and morbid obesity (8%), among other conditions